Biliary stricture developing after Laparoscopic cholecystectomy usually occurs at which part of the common bile duct?
1. Upper
2. Middle
3. Lower
4. All sites with equal frequency

Correct answer: 1. Upper

Explanation: Ans. is 'a' i.e. Upper Most common duct injuries occur when the CBD or CHD or hepatic duct is mistaken to be the cystic duct and ligated and/or divided. Most common site involved is upper CBD.